Termination of all disease transmission by extermination of the infectious agents is known as:
1. Disease Control
2. Disease Elimination
3. Disease Eradication
4. Disease Prevention

Correct answer: 3. Disease Eradication

Explanation: Disease Eradication: It is the termination of all disease transmission by extermination of the infectious agents. Disease Elimination: It is the interruption of transmission of diseases. Disease Control: It is the control of disease agent to such reduced levels that it ceases to be a public health problem. Ref: Park, 21st Edition, Page 37-38